False sense of perception without any external object or stimulus is known as:
1. Illusions
2. Impulse
3. Hallucination
4. Phobia

Correct answer: 3. Hallucination

Explanation: Ans. is 'c' i.e. Hallucination Hallucination - A perception that occurs in the absence of a stimulusIllusions - A misinterpretation of stimuli arising from external objects.Phobia - An irrational fear of an object, situation or activityImpulse - A sudden often unreasoning determination to perform some act.